Micky mouse sign is due to following blood vessels except
1. Common femoral vein
2. Great saphenous vein
3. Short saphenous vein
4. Common femoral artery

Correct answer: 3. Short saphenous vein

Explanation: Transverse veiw at saphenofemoral junction, shows the vessels aligned like a micky mouse.